In UNICEF’s GOBI campaign, O stands for:
1. Oral Contraceptives
2. Oral Rehydration Therapy
3. Obesity
4. Occupational hazards

Correct answer: 2. Oral Rehydration Therapy

Explanation: GOBI FFF for child health revolution:
• Growth Monitoring. 
• Oral rehydration. 
• Breast Feeding. 
• Immunization. 
• Food supplements. 
• Female education. 
• Family spacing.